The test in which weight of lungs is compared with body weight is/are -
1. Fodere's Test
2. Ploucquet's test
3. Raygat's test
4. Wrendin test\/ Cavette test

Correct answer: 2. Ploucquet's test

Explanation: Ref:Synopsis of Forensic medicine and toxicology (K.S.Narayan Reddy) 28th edition, page no.239 Ploucquet's Test:The blood flow in the lung beds is so increased after breathing that their weight is almost doubled, from 1/70 of the body weight before respiration to 1/35 after respiration. The increase in weight is not constant and is not a reliable indication of breathing. Fodere's test: The lung are ligated across their hila and separated. THe average weight of the both lungs before respiration varies from 30g to 40g, and after respiration from 60g to 66g. The increase in weight is due to the increased flow of blood. Raygat's test/hydrostatic test:The hydrostatic test is based on the principle that if the infant has breathed, the lung will float in water. each lung is cut into pieces and tested for floataion in water. A piece of liver is used as control. if the liver bit floats, the test has no meaning, it is clear that putrefaction has set in. If all the pieces of lung float, they are crushed under a weight and tested again. flaotion is positive when the baby has respired. But if the piece sink after pressure, no respiration has taken place. if some piece float while otherb sink, it mean feeble respiration taken place. Wredin's test: Before birth, the middle ear contain gelatinous embryonic connective tissue. with respiration the spincter at the pharyngesl end of eustachian tube relaxes and air replaces the gelatinous substance in few hours to five weeks.